Most common tumour of pancreas is
1. Adeno-carcinoma
2. Squamous cell carcinoma
3. Adeno-squamous cell carcinoma
4. Duct cell adeno carcinoma

Correct answer: 4. Duct cell adeno carcinoma

Explanation: Pathology of carcinoma pancreas More than 85% of pancreatic cancers are ductal adenocarcinomas. The remaining tumours constitute a variety of pathologies with individual characteristics. Endocrine tumours of the pancreas are rare. Ductal adenocarcinomas arise most commonly in the head of the gland. They are solid, scirrhous tumours, characterised by neoplastic tubular glands within a markedly desmoplastic fibrous stroma. Fibrosis is also a characteristic of chronic pancreatitis, and histological differentiation between tumour and pancreatitis can cause diagnostic difficulties. Ductal adenocarcinomas infiltrate locally, typically along nerve sheaths, along lymphatics and into blood vessels. Liver and peritoneal metastases are common. Proliferative lesions in the pancreatic ducts can precede invasive ductal adenocarcinoma. These are termed pancreatic intraepithelial neoplasia or PanIN, and can demonstrate a range of structural complexity and cellular atypia. Cystic tumours of the pancreas may be serous or mucinous. Serous cystadenomas are typically found in older women, and are large aggregations of multiple small cysts, almost like bubblewrap. They are benign. Mucinous tumours, on the other hand, have the potential for malignant transformation. They include mucinous cystic neoplasms (MCNs) and intraductal papillary mucinous neoplasms (IPMNs). MCNs are seen in perimenopausal women, show up as multilocular thick-walled cysts in the pancreatic body or tail, and, histologically, contain an ovarian-type stroma. IPMNs are more common in the pancreatic head and in older men, but an IPMN arising from a branch duct can be difficult to distinguish from an MCN. IPMNs arising within the main duct are often multifocal and have a greater tendency to prove malignant. Thick mucus seen extruding from the ampulla at ERCP is diagnostic of a main duct IPMN. Mucinous tumours can be confused with pseudocysts. Occasionally, lympho epithelial cysts, lymphangiomas, dermoid cysts and intestinal duplication cysts can show up in the pancreas. Solid pseudopapillary tumour is a rare, slowly progressive but malignant tumour, seen in women of childbearing age, and manifests as a large, part-solid, part-cystic tumour. Tumours arising from the ampulla or from the distal common bile duct can present as a mass in the head of the pancreas, and constitute around a third of all tumours in that area. Adenomas of the ampulla of Vater are diagnosed at endoscopy as polypoid submucosal masses covered by a smooth epithelium. They can harbour foci of invasive carcinoma; the larger the adenoma, the greater the risk. Biopsies taken at endoscopy may not always include the malignant focus. Endoscopic surveillance, endoscopic resection or even surgical transduodenal ampullary excision should be considered . Patients with familial adenomatous polyposis (FAP) can present with multiple duodenal polyps. Malignant transformation in a duodenal polyp is a significant cause of mortality in these patients, mandating endoscopic follow-up and pancreatoduodenectomy in selected patients with high- grade dysplasia within the polyp. Ampullary adenocarcinomas often present early with biliary obstruction. Their natural history is distinctly more favourable compared with pancreatic ductal adenocarcinoma. Ampullary carcinomas are relatively small when diagnosed, which may account for their better prognosis. Occasionally, other malignant neoplasms can arise at the ampulla, such as carcinoid tumours and high-grade neuroendocrine carcinomas. Ref: Bailey and love 27th edition Pgno : 1234